ORS plus zinc is given in diarrhea because?
1. Reduces infection
2. Antispasmodic
3. Reduces duration of diarrhoea
4. Enhance sodium absorption

Correct answer: 3. Reduces duration of diarrhoea

Explanation: Zinc reduces severity of illness so it reduces the duration of diarrhea. Zinc should be given for 14 days in any episode of gastroenteritis in children Zinc upgrades the immunity, so the duration of illness is lessened